Lamivudine belongs to which type of anti retroviral group of drugs ?
1. Nucleotide reverse transcriptase inhibitor
2. Non Nucleoside reverse transcriptase inhibitor
3. Nucleoside reverse transcriptase inhibitor
4. Non Nucleotide reverse transcriptase inhibitor

Correct answer: 3. Nucleoside reverse transcriptase inhibitor

Explanation: Ans. is 'c' i.e., Nucleoside reverse transcriptase inhibitor